Auer bodies are seen in -a)  M1-AMLb)  M3-AMLc)  M6-AMLd)  ALL
1. ab
2. bc
3. c
4. d

Correct answer: 1. ab